Which of the following milestones is not developed at 1 year-
1. Stand without support
2. Does mimicry
3. Can use 2 words
4. Draws a circle

Correct answer: 4. Draws a circle

Explanation: Ans. is 'd' i.e., Draws a circle Milestones at 1 year of age* Stands without support* Tries to feed himself with a spoon but spills the contents.* Tries to remove his coat and attempts to wear his socks or shoes without success.* Does mimicry.* Plays a simple ball game* Can use 2 words with meaning* Tries to build a Tower of 2 cubes* Tries to scribble spontaneously (between 12-24 months).